Observational study is all except -
1. Case control
2. Cohort
3. RCT
4. Cross-sectional

Correct answer: 3. RCT

Explanation: Ans. is 'c' i.e., RCT [Ref: Park 22nd/ep. 60 & 2FVe p. 59; Modern epidemiology 3'd/e p. 56\Epidemiological studieso The primary concern of the epidemiologist is to study disease occurence in people,o The epidemiologist employs carefully designed research strategies to explore disease etiology,o Epidemiological studies may be of following types -StudyUnit of study1. Observational studiesA) Descriptive studies (formation of hypothesis)i) Case reportsii) Case seriesB) Analytic studies (testing of hypothesis)i) Case - control or case - referenceii) Cohort or follow-upiii) Ecological or correlational studyiv) Cross-sectional or prevalence study IndividualsIndividualsPopulationIndividuals2. Experimental / intervention studies (testing of hypothesis)i) Randamized controlled / clinical trialsii) Field trials or community intervention studiesiii) Community trialsiv) Animal studiesPatientsHealthy peopleCommunitieso In observational studies, the investigator measures but does not intervene and allow nature to take its own course - Epidemiologist studies the determinant of disease and its natural history. So that etiology of disease can be established and preventive & control measure can be taken.Descriptive studies are used to formulate a hypothesisAnalytic studies are used for testing the hypothesiso In experimental studies, epidemiologist actively intervene to change a disease determinant or progression of disease.o Experimental studies are used for testing hypothesis.